In children atopic dematitis is associated with increase in-
1. Immunoglobulin A
2. Immunoglobul in E
3. Immunoglobulin G
4. Immunoglobulin M

Correct answer: 2. Immunoglobul in E